Which is not true of carcinoma tongue?
1. Lateral border is involved
2. Cervical lymph node involvement
3. Commonly adenocarcinoma
4. Tobacco chewing is a risk factor

Correct answer: 3. Commonly adenocarcinoma

Explanation: SCC is the commonest malignancy